Sphenoidal air sinus is supplied by ___________ nerve:
1. Posterior ethmoidal nerve
2. Posterior superior alveolar nerve
3. Sphenoidal nerve
4. Infratemporal nerve

Correct answer: 1. Posterior ethmoidal nerve